Drop metastases is seen in
1. Medulloblastoma
2. Ependymoma
3. Cerebellar astrocytoma
4. Neuroblastoma

Correct answer: 1. Medulloblastoma

Explanation: Drop metastases - Dissemination through CSF giving rise to nodular masses at some distance from primary tumour. It is seen in Medulloblastoma